OCP's intake causes all Except:a) Decreased risk of ovarian tumourb) Increased risk of fibroadenosisc) Increased risk of liver adenomad) Increased risk of fibroadenoma
1. c
2. d
3. ab
4. bd

Correct answer: 4. bd

Explanation: OCP’s have antiovulatory effect and by virtue of this property, relieve dysmenorrhea (rather than causing it), premenstrual tension and Mittleschmerz syndrome.
Side effects of OCPs are: